The spinbarkeit of cervical mucous in a woman is maximum at one of the following phases of the cycle :
1. Early proliferative
2. Ovulatory phase
3. Post-ovulatory phase
4. Menstrual phase

Correct answer: 2. Ovulatory phase

Explanation: Ovulatory phase